Suxamethonium is:
1. Non depolarizing muscle relaxant
2. Depolarising muscle relaxant
3. Direct acting muscle relaxant
4. All of the above

Correct answer: 2. Depolarising muscle relaxant

Explanation: Suxamethonium is Succinyl choline that is a depolarising blocker. Suxamethonium chloride, also known assuxamethonium or succinylcholine, is a medication used to cause short-term paralysis as part of general anesthesia. This is done to help with tracheal intubation or electroconvulsive therapy. It is given either by injection into a vein or muscle. From KD Tripati 7th edition Page no 345